What is Agoraphobia?
1. Fear of heights
2. Fear of closed spaces
3. Fear of open spaces
4. Fear of dogs

Correct answer: 3. Fear of open spaces

Explanation: Agoraphobia is characterised by an irrational fear of being in places away from the familiar setting of the home. Although it was earlier thought to be a fear of open spaces only, now it includes fear of open spaces, public places, crowded places and any other place from where there is no easy escape to a safe place. (Ref: A short textbook of psychiatry, Niraj Ahuja,7th edition, pg no 92)